Form in which small intestine absorbs majority of carbohydrates:
1. Polysacchride
2. Disacchride
3. Monosacchride
4. Pentose sugars

Correct answer: 3. Monosacchride

Explanation: Ans. C i.e. MonosacchridesMonosaccharidesThey are the most basic units of biologically important carbohydrates.They are the simplest form of sugar and are usually colorless, water-soluble, crystalline solids.Monosaccharides are the building blocks of disaccharides (such as sucrose) and polysaccharides (such as cellulose and starch).Examples of monosaccharides include:Glucose (dextrose), Fructose (levulose), Galactose, Xylose and Ribose.